False about pre - styloid space
1. Is anterior compartment of Para pharyngeal space
2. Contains maxillary artery
3. Contains maxillary nerve Branches
4. Contains mandibular nerve branches

Correct answer: 3. Contains maxillary nerve Branches

Explanation: Prapharyngeal space on basis of styloid is divided into
i) Prestyloid compartment

Has maxillary Artery
has branches of mandibular nerve

ii) Post styloid compartment

Has ICA
IJV
9,10,11,12 cranial nerve